Amyl nitrate inhalation test is used to detect-
1. Carcinoma esophagus
2. Achalasia cardia
3. Oesophageal diverticulum
4. Transeoesophageal fistula

Correct answer: 2. Achalasia cardia